Predisposing factor for venous thrombosis ?
1. AT III deficiency
2. Protein S deficiency
3. Protein C deficiency
4. All

Correct answer: 4. All

Explanation: Ans. is All o Antithrombin (AT III), Protein S & protein 'C' deficiency cause venous thrombosis. o Dysfibrinogemia causes venous and arterial thrombosis. Distinguishing features of Arterial and venous thrombi. Feature o Blood flow o Sites o Thrombogenesis o Development o Propagation o Macroscopy o Microscopy o Effects o Emboli Arterial thrombi femoral, popliteal & iliac. o Due to stasis o Almost invariably occlusive o In antegrade direction towards the heart. o Red-Blue o Lines of Zahn are not so distinct (mainly RBCs) o Edema, ulcer, poor wound healing " height="257" width="241" align="left">o Formed in rapidly-flowing blood of arteries & heart o Coronary (most common), cereberal & femoral arteries o Due to endothelial injury by turbulence o Usually mural not occluding the lumen completely o In retrograde direction o Grey white o Distinct lines of Zahn composed of platelets, fibrin , RBC & WBC o Ischemia leading to infarcts e.g., of brain, heart o Less common o More common Venous thrombi o Formed in slow moving blood in veins. o Superficial veins of lower limb, deep veins of lower limb --> femoral, popliteal & iliac. o Due to stasis o Almost invariably occlusive o In antegrade direction towards the heart. o Red-Blue o Lines of Zahn are not so distinct (mainly RBCs) o Edema, ulcer, poor wound healing Also know about the following terms. o Lines of Zohn Characteristic of thrombi that is formed in heart or aorta. They have visible and micoscopic laminations produced by alternating pale layer of platelets mixed with fibrin and darker layer containing red blood cells. Their presence implies thrombosis at a site of rapid blood flow. In veins or smaller arteries, where flow is not rapid, they are less apparent. o Mural thrombi --> When arterial thrombi arise in heart or aorta, they usually adhere to the wall of underlying structure and are termed as mural thrombi.